The main components in silicophosphate cement:
1. Zinc phosphate and GIC
2. Silicate and GIC
3. ZOE and Silicate
4. Zinc phosphate and Silicate

Correct answer: 4. Zinc phosphate and Silicate